Who gave the stripped Y classification of clefts?
1. Veau
2. Kernhan
3. David and Ritchie
4. Tessier

Correct answer: 2. Kernhan